All of the following are adverse effects of aminoglycosides except:
1. Nephrotoxicity
2. Ototoxicity
3. Neuromuscular blockade
4. Cholestatic jaundice

Correct answer: 4. Cholestatic jaundice

Explanation: Cholestatic jaundice is seen with usage of Erythromycin (a macrolide) not aminoglycosides.